All of the following viruses are capable of causing human cancers except
1. Papilloma virus
2. Hepatitis B virus
3. Epstein Barr virus
4. Parvovirus B-19

Correct answer: 4. Parvovirus B-19